Most harmful to individual cell :
1. X-rays
2. a - particles
3. b - particles
4. X- rays (gamma rays)

Correct answer: 2. a - particles

Explanation: B i.e. a - particles